Characteristics of SIRS includes the following except-
1. Leukocytosis
2. Thrombocytopenia
3. Infectious or noninfectious cause
4. Oral temperature > 38degC

Correct answer: 2. Thrombocytopenia

Explanation: Systemic inflammatory response syndrome (SIRS) Two or more of the following conditions: (1) fever (oral temperature >38degC) or hypothermia (<36degC); (2) tachypnea(>24 breaths/min (3) tachycardia (heart rate >90 beats/min); (4) leukocytosis (>12,000/mL), leukopenia (<4,000/mL), or >10% bands; may have a noninfectious etiology ref:harrison's principles of internal medicine,ed 18,pg no 2223